A primary syphilitic lesion of the male genitalia characterized by:
1. soft, ragged ulcer
2. punched out painless ulcer with indurated edges
3. raised, flat, greyish, moist confluent lesions
4. necrotic rubbery lesion

Correct answer: 2. punched out painless ulcer with indurated edges